Which of the following belongs to steroidal receptor superfamily?
1. Vitami D3
2. Encephalins
3. GH
4. Insulin

Correct answer: 1. Vitami D3

Explanation: Biological actions of vitamin D are now considered to be exerted through the nuclear vitamin D receptor (VDR)-mediated control of target genes.VDR belongs to the nuclear hormone receptor superfamily and acts as a ligand-inducible transcription factor.Ref: DM Vasudevan, 7th edition, page no: 667